Number of (+) for tubercle bacilli if count in AFB sample is >10 per oil immersion fields?
1. +
2. .++
3. .+++
4. Scanty

Correct answer: 3. .+++

Explanation: - the number of bacilli seen in a smear reflects disease severity and patient infectivity. - therefore , it is important to note the number of bacilli seen on each smear. - more than 10 acid fast bacilli per oil immersion field is reported as +++(3+). Reference : Park's textbook of preventive and social medicine, 23rd edition, pg no:182